Cyclosporin is used an
1. Anticancer drug
2. Antibiotic
3. Antiarrythmic
4. Immunosuppresant

Correct answer: 4. Immunosuppresant